Drug NOT metabolised by liver is-
1. Penicillin G
2. Phenytoin
3. Erythromycin
4. Cimetidine

Correct answer: 1. Penicillin G

Explanation: Ans. is 'a' i.e., Penicillin G o Penicillin G is metablized mainly in kidney. o Approximatly 10% of the drug is eliminated by glornerular filtration and 90% by tubular secretion. Erythromycin (KDT - 728), cimetidine (KDT - 629) and Pheytoin (404) are metabolized in liver. Note ? In this question examinar just wants to see whether you know that penicillin G is primarily excreted from kidney. o This question is different from previous ones where examinar has asked about the drugs which have high hepatic metabolism. The drugs in this question, (erythromycin, cimctidine), though metabolized in liver to some extent, but they dont have high liver first pass metabolism.